Difference between haemolytic uremic syndrome & TTP -
1. Thrombocytopenia is seen in TTP
2. C.N.S. manifestations are dominant in TTP
3. Microangiopathic hemolytic anemia
4. Renal failure more i'i)trufloa in TTP

Correct answer: 2. C.N.S. manifestations are dominant in TTP